Antinuclear-antibodies are present in what percentage of cases of SLE?
1. 50%
2. 70%
3. 80%
4. More than 90%

Correct answer: 4. More than 90%

Explanation: Ref Harrison's internal medicine 20e p2517